Interosseous membrane between radius and ulna is pierced by which structure
1. Posterior interosseus nerve
2. Posterior interosseus artery
3. Anterior interosseus nerve
4. Anterior interosseus artery

Correct answer: 4. Anterior interosseus artery

Explanation: Anterior interosseous artery pierces the interosseous membrane at the upper border of pronator quadratus to enter the extensor compartment. Posterior interosseous artery passes through a gap above the interosseous membrane to the back of forearm . Anterior interosseous nerve is the branch of median nerve. Posterior interosseous nerve is the deep terminal branch of radial nerve. B D Chaurasia 7th edition Page no: 112,114